Low-pressure receptors that play role in Minimal arterial pressure changes, due to volume changes are located in
1. Left Atrium
2. Right Atrium
3. Pulmonary arteries
4. All of above

Correct answer: 4. All of above

Explanation: Low pressure receptors that play role in Minimal arterial pressure changes, due to volume changes are located in right atrium, left atrium and pulmonary arteries.